Culture media are sterilized by:
1. Autoclaving
2. B–radiation
3. Hot air oven
4. Tyndallisation

Correct answer: 1. Autoclaving

Explanation: Key Points:-
Uses of autoclave: The autoclave has many uses, which are given below:

It is a good method to sterilize heat-resistant materials, such as glassware, cloth (surgical dressings), rubber (gloves), metallic instruments, liquids, paper, some media, and some heat-resistant plastics.
It is also useful for sterilization of heat-sensitive items, such as plastic Petri plates that need to be discarded.
It is useful for sterilization of materials that cannot withstand the higher temperature of the hot-air oven.

Parija SC. Textbook of Microbiology & Immunology. Elsevier Health Sciences; 2014. Page: 26